Neutrophil hypomotility syndrome is due to
1. Defective actin polymerization
2. Deficiency of leukocyte integrins
3. Defect in free radical production
4. Absence of actin

Correct answer: 1. Defective actin polymerization